Deep branch of ulnar nerve supplies
1. Adductor pollicis
2. Flexor digitorum superficialis
3. 1st Lumbrical
4. 2nd Lumbrical

Correct answer: 1. Adductor pollicis

Explanation: Muscles supplied by deep branch of ulnar nerve are - Muscles of hypothenar eminence, medial two lumbricals , 4-1 dorsal interossei muscles and 4-1 palmar interossei and adductor pollicis 1st and 2nd lumbricals are supplied by digital nerves from median nerve. Nerve supplying flexor digitorum superficialis comes from median nerve in the cubital fossa. B D Chaurasia 7th edition Page no: 182